The development of resistance to conventional treatment has led WHO to recommned the use of combination therapies containing artemisinin derivative (artemisinin-based combination therapies also known as ACTs). All of the following combination therapies are recommended if such resistance is suspected, except -
1. Artemether plus lumefantrine
2. Artesunate plus quinine
3. Artesunate plus pyrimethamine-sulfadoxine
4. Artesunate plus mefloquine

Correct answer: 2. Artesunate plus quinine

Explanation: Ans. is 'b' i.e. Artesunate plus quinine The WHO recommended ACTs (artemisinin-based combination therapies) o Artemether + lumefantrine o Artesunate + sulfadoxine-pyrimethamine o Artesunate + amodiaquine o Artesunate + mefloquine o Dihydroartemisinin + piperaquine.